pavor nocturnus is seen in which phase of sleep cycle ?
1. NREM S1
2. NREM S2
3. NREM S3
4. REM SLEEP

Correct answer: 3. NREM S3

Explanation: Sleep Terrors (Pavor Nocturnus) * Peak onset age :5 to 7 years * high incidence of familial history * occur during slow-wave sleep * Episode : loud, piercing .ream. flushed fa., sweating, and tachycardia. may jump out of bed as if running away from an unseen threat unresponsive to parental efforts at calming does not remembe the epi.de later. * Patients appear highly confused and fearful. * Many al. have h/o sleepwallcing * Precipitating factors are al. similar as with sleepwalldng * migraine is strongly a/w h/o sleep terrors in adolescence Parasomnias Parasomnias - Sleep disorders involving abnormal behaviors or physiological events that occur during sleep or while falling asleep. Nightmare disorder - A sleep disorder characterized by recurrent awakenings due to frightening nightmares. Nightmares are often associated with traumatic experiences and generally occur most often when the individual is under stress. ref : guyton and hall